Most common Hodgkin's lymphoma?
1. Nodular sclerosis
2. Mixed cellularity
3. Lymphocyte depleted
4. Lymphocyte rich

Correct answer: 1. Nodular sclerosis

Explanation: Ans. (a) Nodular SclerosisRef: Robbin's pathology 9th ed. /606-607; Harrison 18th ed. Chapter 110Hodgkin's DiseaseNodular lymphocytePredominant Hodgkin's diseaseClassical Hodgkin's diseaseNodular sclerosis Hodgkin's diseaseLymphocyte-rich classic Hodgkin's diseaseMixed-cellularity Hodgkin's diseaseLymphocyte-depletion Hodgkin's disease